A patient was diagnosed with schizophrenia and was started on haloperidol 5mg. On 3rd day he presented with uprolling of eyes. A complete neurological examination revealed no spasticity or any other abnormalities except uprolling of eyeballs. Visual acuity was found to be normal. What is your likely diagnosis?
1. Seizure
2. Acute dystonia
3. Malingering
4. Akathesia

Correct answer: 2. Acute dystonia

Explanation: * <48 hours of starting antipsychotics * M.C in======Younger black males * If a patient develops dystonia he is more prone for eps Patient considers this as an Allergic reaction , thereby may stop drugs Layryngeal dystonia is a Psychiatric emergency, should be treated with IV lorazepam TREATMENT * Diphenhydramine * Benztropine mesylate * Prophylactic anticholinergics helps Ref.Kaplon and sadock, synopsis of psychiatry, 11 th edition, pg no. 923